Temporal lobe tumours may produce
1. Crossed upper quadrantanopia
2. Crossed lower quadrantanopia
3. Uncrossed upper quadrantanopia
4. Uncrossed lower quadrantanopia

Correct answer: 1. Crossed upper quadrantanopia

Explanation: Ans. Crossed upper quadrantanopia